Which of the following is most important molecule for antioxidant pathway in lens?
1. Glutathione
2. Superoxide dismutase
3. Catalase
4. Vitamin C

Correct answer: 1. Glutathione

Explanation: Glutathione is the most important molecule for antioxidant pathway in lens. Preventive antioxidant mechanisms of lens : Glutathione Superoxide dismutase Catalase Ascorbate (VIT-C) Alpha-tocopherol (VIT -E) Carotenoids ascorbate and alpha tocopherol Vitamins C and E function as water-soluble and lipid-soluble chain-breaking antioxidants, respectively, and protect lipids, proteins, and membranes from oxidative damage. Glutathione Maintains the Ascorbate and alpha-tocopherol in the lens in the reduced state The normal lens contains sulphydryl-containing reduced glutathione and ascorbic acid (vitamin C), both ofwhich decrease with age and in cataract. * Auto-oxidation and high concentration of reduced glutathione in the lens maintains the lens proteins in a reduced state and ensures the integrity of the cell membrane pump Ros= Reactive Oxygen Species Reference: - Comprehensive ophthalmology A K Khurana 6th edition page 181 Parsons' Diseases of the Eye 22nd Edition page -188